The 9 month old child of a diabetic mother presents with tachypnea and hepatomegaly. Echocardiography of the heart showed normal cardiac morphology with asymmetric septal hypertrophy. Which of the following you will give to treat this child :
1. Digoxin
2. Frusemide
3. Propranolol
4. Isoptin

Correct answer: 3. Propranolol

Explanation: Answer is C (Propranolol) The symptoms of the patient and echocardiographic finding of asymmetrical septal hypertrophy almost confirms the diagnosis of Hypertrophic cardiomyopathy. Beta Blockers should be the initial drug Q in symptomatic individuals Management of HOCM Avoidance of strenuous physical activity Beta Blockers should be the initial drug Q in symptomatic individuals. They reduce: - Heart rate - Blood pressure - Stiffness of left ventricle - Fatal arrythmias Calcium channel BlockersQ (verapamil and diltiazem) are alternative drugs. - They reduce-stiffness of ventricle - Elevated diastolic pressures Amiadarone may be used to reduce arrythmias. Surgical myomectomy